Contra-indications to ergometrine are all except:
1. Suspected multiple pregnancy
2. Cardiac problems
3. Atonic uterine bleeding
4. Rh-negative mother

Correct answer: 3. Atonic uterine bleeding

Explanation: Ans. C: Atonic Uterine Bleeding Ergometrine directly acts on the myometrium.It excites uterine contractions which comes on so frequently that uterus passes into a state of spasm. It is used to stop atonic post-partum haemorrhage Contraindications to ergometrine are: Suspected plural pregnancy Organic heart disease Severe pre-eclampsia and eclampsia Rh negative mother